ADHD is characterized by all, except -
1. Impulsivity
2. Distractibility
3. Hyperactivity
4. Hallucinations

Correct answer: 4. Hallucinations

Explanation: Ans. is 'd' i.e., Hallucination o Characteristic triad of Attention deficit hyperactivity disorder (ADHD) includesi) Hyperactivity,ii) Impulsiveness andiii) Inattention (distractibility or lack of concentration)o ADHD is one of the most common psychiatric problem in school age population. It usually arises in the first 5 years of life and is three times more common in boys than in girlso ADHD is characterized by an age inappropriate hyperactivity, impulsiveness and inattention. Hyperactivity is usually the first symptom noticed.o The disorder is dividede into three classes:-# Class I (most common):- All three symptoms are present, i.e., hyperactivity, impulsiveness and inattention. Therefore, it is known as combined subtype.# Class II:- First two symptoms are present, i.e., hyperactivity and impulsiveness. It is known as hyperactiveimpulsive subtype.# Class III (least common):- Only inattention is present. It is known as inattentive subtype.Diagnostic criteria1) Six (or more) of the following symptoms of inattention have persisted for at least 6 months to a degree that is maladaptive and inconsistent with development level.a) Often make careless mistakesb) Often has difficulty sustaining attentionc) Often does not listend) Often fails to follow through on instruction or of finish taskse) Often has difficulty organizing tasks and activitiesf) Often avoids tasks requiring sustained attentiong) Often looses thingsh) Often is easily distracted by external stimulii) Often is forgetful in daily activities2) Six (or more) of the following symptoms of hyperactivity impulsivity have persisted for at least 6 months to a degree that is maladaptive and inconsistent with developmental levelHyperactivity:a) Often fidgets or squirmsb) Often leaves seatc) Often moves excessively (may feel restless)d) Often has difficulty playing or engaging in leisure activities quietlye) Is often "on the go"f) Often talks excessivelyImpulsivity:g) Often blurts out answersh) Often has difficulty awaiting turni) Often inerrupts or intrudes on otherso Other features: - Nonlocalizing neurological soft signs such as clumsiness, left-right confusion, perceptual motor discordination.Treatment of ADH D1) Pharmacotherapy:- Pharmacological treatment is considered to be the first line of treatment of ADHD. Drugs used for ADHD are:-a) CNS stimulants:- These are drugs of choice for ADHD. Methylphenidate is the drug of choice. Other CNS stimulants used are dexmethylphenyldate, dextroamphetamine, Dextroamphetamine + amphetamine, and modafinil (Provigil). Methylphenidate should be used in children of 6 years or above and amphetaminesm should be used in children of 3 years & above.b) Nonstimulant drugs:- Atomoxetine, Bupropion, venlafaxine, alpha-adrenergic agonists (Clonidine, guanfacine).2) Psychological treatment:- The child and parents should be educated with regard to the ways in which ADHD can affect learning, behavior, self esteem and skills. Goal should be set for the family to improve the child's interpersonal relationships, develop study skills, and decrease disruptive behaviors.3) Behavior therapy:- The goal of behavior therapy is to identify targeted behavior that cause impairment in child's life so that child can work on pregressively improving his or her skill in these area. It includes management of disruptive behavior at home & class room and improving academic performance.